All of the following is complications of mumps
1. Meningoencephalitis
2. Myocarditis
3. pancreatitis
4. Myositis

Correct answer: 4. Myositis

Explanation: The complications of mumps includes meningitis ,encephalitis ,oophoritis,epididymoorchitis,facial neuritis,transverse myelitis,cerebellar ataxia,auditory nerve damage,pancreatitis ,nephritis,myocarditis, mastitis Reference : Ghai essential pediatrics 8th edition pg no 217